Which of the following is false regarding interim immediate denture?
1. Generally indicated when only anterior teeth are remaining
2. It is intended as a short term prosthesis
3. After healing a second denture is made
4. Alteration of esthetics can be made.

Correct answer: 1. Generally indicated when only anterior teeth are remaining

Explanation: Interim immediate denture is generally indicated, when there are multiple anterior and posterior teeth present and when patient cannot or will not go without posterior teeth.